Didactic method of communication is
1. Two way communication
2. One way communication
3. Knowledge is not imposed
4. Influence human behavior

Correct answer: 2. One way communication

Explanation: One-way communication is also known as a didactic method.Ex: Lecture in classroomsDrawbacks are: Knowledge is imposed, learning is authoritative, Little audience participation, no feedback, does not influence human behaviour.Two-way communication is called a Socratic method.Park 23e pg: 855